All are Fibrous joint all except
1. Gomphosis
2. tibiofibular joint
3. Suture
4. Symphysis pubis

Correct answer: 4. Symphysis pubis